A patient with traumatic paraplegia due to the injury of the thoracic cord of 'T3 level' is observed to have a blood pressure of 210/120. What should be the initial management?
1. Subcutaneous LMWH
2. Steroids
3. Nifedipine
4. Normal saline / Dextrose

Correct answer: 3. Nifedipine